Non-verbal communication means
1. Smiling.
2. Eye contact.
3. Both.
4. None.

Correct answer: 3. Both.

Explanation: Communication: 2 types - verbal and non-verbal.
Verbal communication is best for younger children more than 3 years of age. Voice that is used should be constant and gentle. Tone of voice can express empathy and firmness.
Non-verbal communication is by body language - smiling, eye contact, by touching the child or by giving a hug.